The DNA microarrays allow detection of gene mutations using which of the core principles?
1. Polymerase Chain Reaction
2. Cloning
3. Southern Blotting
4. Hybridization

Correct answer: 4. Hybridization

Explanation: "A DNA microarray (also commonly known as gene chip, DNA chip, or biochip) is a collection of microscopic DNA spots attached to a solid surface. The core principle behind microarrays is hybridization between two DNA strands, the property of complementary nucleic acid sequences to specifically pair with each other by forming hydrogen bonds between complementary nucleotide base pairs"